A patient of biliary colic presented to hospital Intern gave an injection and the pain worsened which is the most likely injection given
1. Morphine
2. Diclofenac
3. PIROXICAM
4. Etosicoxib

Correct answer: 1. Morphine

Explanation: REF : KD TRIPATHI 8TH ED